Type I Diabetes Mellitus is initially managed by:-
1. Metformin
2. Sulfonylureas
3. Meglitinides
4. Insulin

Correct answer: 4. Insulin

Explanation: Insulin is the only treatment of Type 1 DM. Pramlintide is also approved for Type 1 diabetes along with insulin. DOC for Type 2 DM is Metformin.